Restoration commonly recommended for cervical abrasion is
1. Silicate
2. Polycarboxylate
3. Glass ionomer
4. Composites

Correct answer: 3. Glass ionomer